NOT TRUE about the Sesamoid bone is
1. Devord of periosteum
2. Devoid of Haversian canal
3. Found since birth
4. Develops in tendon

Correct answer: 3. Found since birth

Explanation: Sesamoid bones develop after birth in tendon.
Eg- patella, pisciforon